A -30-yead old male is having Attic cholesteatoma of left ear with lateral sinus thromboplebitis. Which of the following will be the operation of choice?
1. Intact canal will be the operation of choice
2. Simple mastoidectomy with Tympanoplasty
3. Canal wall down mastoidectomy
4. Mastodidectomy with cavity obliteration

Correct answer: 3. Canal wall down mastoidectomy

Explanation: In Attic cholesteatoma, if it invades eustachian tube or perilabyrynthine tissue, then management is Radial Mastoidectomy.